William's syndrome is associated with
1. Congenital Supravalvular Aortic stenosis
2. Congenital Subvalvular Aortic stenosis
3. VSD
4. ASD

Correct answer: 1. Congenital Supravalvular Aortic stenosis

Explanation: A i.e. Congenital Supravalvular Aortic stenosis William's Syndrome or Idiopathic Hypercalcemia of Infancy It is characterized by: Hypercalcemia d/ t abnormal sensitivity to vitamin D Supravalvular aortic stenosisQ & other congenital defects Intellectual disability Elfin facies (Round face with full cheeks & lips)